A 12 kg child with diarrhoea, fluid to be replaced in first 4 hours
1. 0-400 ml
2. 800-1200 ml
3. 400-800 ml
4. 1200-1600 ml

Correct answer: 2. 800-1200 ml